Contents of mid palmar space are all except
1. 2nd lumbrical
2. Flexor digitorum profundus of 3rd finger
3. 1st lumbrical
4. Flexor digitorum profundus of 4th finger

Correct answer: 3. 1st lumbrical

Explanation: 2nd lumbrical, flexor digitorum profundus(FDP) of 3rd and 4th finger along with other muscles form anterior boundary of mid palmar space.First lumbrical forms the anterior boundary of thenar space.B D Chaurasia 7th edition Page no: 133